Constituents of Tetralogy of fallot (TOF) are all EXCEPT
1. Aortic stenosis
2. Pulmonary stenosis
3. Overriding of aorta
4. VSD

Correct answer: 1. Aortic stenosis

Explanation: i.e. (Aortic stenosis): (408-Ghai 7th)TETRALOGY OF FALLOT(i) Ventricular septal defect(ii) Pulmonary stenosis(iii) Overriding or dextroposed aorta(iv) Right ventricular hypertrophyPENTALOGY OF FALLOT(i) Ventricular septal defect(ii) Pulmonary stenosis(iii) Overriding or dextroposed aorta(iv) Right ventricular hypertrophy(v) ASD or patent foramen ovale***The basic embryological defect leading to TOF is Anterior deviation of the infundibular septum (Hall mark of Tetralogy)* Commonest symptoms of TOF - dyspnea on exertion and exercise intolerance* ECG - Right axis deviation with right ventricular hypertrophy (monophasic R wave in VI with an abrupt change to an rS pattern is classical) inverted T.waves in right precordial leads P pulmonale can be present.